Hematuria is a feature of snake bite due to
1. Cobra
2. Krait
3. viper
4. Sea snake

Correct answer: 3. viper

Explanation: Viper venom is predominantly hemotoxic. There will be hemolysis , decrease in RBC count and platelet count The bleeding time and clotting time will be prolonged. Disseminated intravascular coagulation(DIC) will occur and there will be bleeding from gums, rectum and site of bite. There will be signs of renal failure. There will be oliguria, albuminuria and hematuria. Ref: FORENSIC MEDICINE AND TOXICOLOGY Dr PC IGNATIUS THIRD EDITION PAGE 518